A 75-year-old woman with well-controlled diabetes complains of poor eyesight. A grayish-white opacification of lens is found during a comprehensive eye examination. Which of the following metabolic pathways is most likely involved in this lens abnormality?
1. Aldose reductase pathway
2. Amino acid degradation cycle
3. Citric acid cycle
4. Oxidative phosphorylation

Correct answer: 1. Aldose reductase pathway

Explanation: - Given clinical features suggests the diagnosis of cataract. Aldose reductase pathway has been implicated in pathogenesis of diabetic complications in some tissues, including formation of cataracts. Glucose is converted to sorbitol (sugar alcohol) by this pathway, which can be cytotoxic. This accumulates in lens resulting in its swelling & cataract formation. Snow flake cataract is associated with diabetes None of other choices have been implicated in pathogenesis of cataracts.